In 100-m dash, most of the energy consumed by skeletal muscles to replenish ATP is derived from
1. Phosphocreatine
2. Aerobic glycolysis
3. Oxidation of Fatty acids
4. None of the above

Correct answer: 1. Phosphocreatine

Explanation: In a 100-m dash that takes 10s , 85% of the energy consumed is derived anaerobically by Phosphocreatine, which is hydrolysed to creatine and phosphate groups with the release of considerable energy. Ref: Guyton And Hall Textbook of Medical Physiology 13th edition Pgno: 82